In which of the following tissues is glucose transport into the cell enhanced by insulin?
1. Brain
2. Lens
3. Red blood cells
4. Adipose tissue

Correct answer: 4. Adipose tissue

Explanation: Under conditions of low insulin, most GLUT4 is sequestered in intracellular vesicles in muscle and fat cells.Insulin induces a rapid increase in the uptake of glucose by inducing the translocation of GLUT4 from these vesicles to the plasma membrane.As the vesicles fuse with the plasma membrane, GLUT4 transporters are inserted and become available for transporting glucose, and glucose absorption increases.Ref: DM Vasudevan, 7th edition, page no: 320